All of the following are true for the Adie's Tonic Pupil except:
1. Light reflex is present
2. Near reflex is very slow and tonic
3. It is usually unilateral
4. The affected pupil is larger

Correct answer: 1. Light reflex is present

Explanation: Ans. Light reflex is present